Single most indicator of likelihoodness of rapid progression of hepatitis to liver cirrhosis is -
1. Associated serological finding
2. Underlying etiology
3. Presence of bridging necrosis
4. Presence of Mallory hyaline

Correct answer: 2. Underlying etiology

Explanation: underlying etiology is single indication of rapid progression of hepatitis to cirrhosis TEXT BOOK OF HARSH MOHAN PAGE.605- 612